Brushfield spot in iris is seen in-
1. Neurofibromatosis
2. Down syndrome
3. Ttoberous sclerosis
4. Toxoplasmosis

Correct answer: 2. Down syndrome

Explanation: Brushfield spots are small, white or grayish/brown spots on the periphery of the iris due to aggregation of connective tissue. Seen in Down syndrome patients of European descent. Other ocular features in Down syndrome: Epicanthal folds Mongoloid slanting of eye Myopia Keratoconus Esotropia Congenital Cataract Blepharitis In Neurofibromatosis, Lisch nodules are seen.